The commonest primary immunodeficiency is?
1. Common variable immunodeficiency
2. Isolated IgA immunodeficiency
3. Wiskott-Aldrich syndrome
4. AIDS

Correct answer: 2. Isolated IgA immunodeficiency

Explanation: Isolated IgA Deficiency: commonest immunodeficiency (1/600) Affected individuals have extremely low levels of both serum and secretory IgA C/F: asymptomatic, recurrent respiratory infections